Erythrasma is caused by
1. Corynebacterium diphtheriae
2. Corynebacterium pseudotuberculosis
3. Corynebacterium haemolyticum
4. Corynebacterium minutissimum

Correct answer: 4. Corynebacterium minutissimum

Explanation: CORYNEBACTERIAL INFECTIONS * Corynebacterium: gram-positive rod-shaped bacteria . Erythrasma:- * Superficial infection in occluded intertriginous areas due to C.minutissimum * Presents as well-demarcated red-brown macules/patches with fine scale and wrinkling in intertriginous areas; interdigital maceration and scaling between toes. * Most common bacterial infection of the foot . Wood's lamp:- Bright coral-red fluorescence due to porphyrin production (coproporphyrin III). Treatment:- Topical antibiotic or antifungal (clindamycin, erythromycin, imidazole) or oral erythromycin x 5 days. Ref&;- Sima Jain; pg num:-208